a 1 antitripsin deficiency is characterised by deposition of cytoplasmic inclusions which are:
1. Eosinophillic
2. PAS positive
3. Diastase resistant
4. All of the above

Correct answer: 4. All of the above

Explanation: a1-Antitrypsin deficiency is characterized by the presence of round-to-oval cytoplasmic globular inclusions in hepatocytes, which in routine H&E stains are acidophilic and indistinctly demarcated from the surrounding cytoplasm. They are strongly periodic acid-Schiff (PAS)-positive and diastase-resistant Ref: Robbins 8th edition Chapter 18.